Treatment of congenital ptosis with poor elevation is-
1. Levator resection
2. Frontalis sling
3. FS operation
4. None of the above

Correct answer: 2. Frontalis sling

Explanation: Brow suspension operation , in this lid is anchored to frontalis muscle a sling .fascia lata or silicon rod can be used as sling. In this procedure, the eyelid is coupled to the frontalis muscle using either a fascial sling or a sling made of a synthetic material Ref: Ak khurana 6th edition